Clayton is used in a close breathing system for the purpose of –
1. As a hardner
2. As an absorbent
3. As a softner
4. As an indicator

Correct answer: 4. As an indicator

Explanation: Clayton is used as an indicator. It is red when sodalime is fresh and becomes yellow when sodalime is exhausted.